Apalutamide was approved by FDA recently for
1. Prostate cancer
2. Breast cancer
3. Hypertension
4. HIV

Correct answer: 1. Prostate cancer